Which of following prevent formation of ATP by blocking movement of ADP across mitochondrial membrane:
1. Atractyloside
2. Rotenone
3. Oligomycin
4. Ouabain

Correct answer: 1. Atractyloside

Explanation: A i.e. AtractylosideElectron transport in complex IV - Cytochrome c oxidase (Cytochrome a, a3) is inhibited by cyanide (CN-), carbon monoxide (CO), hydrogen sulfide (H2S) and azideQ.Brown adipose tissue is the specialized mammalian tissue in which fuel oxidation serves not to produce ATP but to generate heatQ. (i.e. oxidation is not coupled with phosphorylation). This uncoupling of oxidative phosphorylation is due to presence of thermogenin (or UCP1/uncoupling protein 1) a natural physiological uncoupler. So brown fat is used for heat generation (not ATP production) in new born and during hibernation in animals.2-4-Dinitophenol, dicoumarol (vitamin K analogue), calcium, CCCP (Chloro carbonyl cyanide phenyl hydrazone), FCCP (trifluoro carbonyl cyanide phenyl hydrazone),- valinomycin, aspirin are synthetic uncouplers.Atractyloside (glycoside) inhibits oxidative phosphorylation (i.e. ATP synthesis) by blocking transporters (translocases) responsible for movement of ADP (into) & ATP (out) across the inner mitochondrial membraneQ. Whereas oligomycin binds to ATP synthase (Fdeg domain so name starts with 0) closing the proton channel and blocking the flow of protonsQ.